Ringer lactate is a:
1. Isotonic crystalloid solution
2. Hypertonic crystalloid solution
3. Hypotonic crystalloid solution
4. Isotonic colloid solution

Correct answer: 1. Isotonic crystalloid solution

Explanation: Ans. A: Isotonic crystalloid solution Lactated Ringer's solution It is a solution that is isotonic with blood and intended for intravenous administration. It is grouped with intravenous fluids that are known as "crystalloids" - which include saline and dextrose solutions (compared to the "colloids" which contain larger molecules such as dextran, hydoxyethyl starch, polyvinylpyrrolidone or gelatin polymers/ Haemaccel). It is very similar, though not identical to, Hartmann's Solution which has slightly different ionic concentrations One litre of lactated Ringer's solution contains: 130 mEq of sodium ion = 130 mmol/L; 109 mEq of chloride ion = 109 mmol/ L; 28 mEq of lactate = 28 mmol/L; 4 mEq of potassium ion = 4 mmol/L; 3 mEq of calcium ion = 1.5 mmol/L Although its pH is 6.5, it is an alkalizing solution.